If pneumocephalus created either by surgery or by performance of a pneumoencephalogram, it is suggested that nitrous oxide be avoided for how many days –
1. 4 days
2. 5 days
3. 6 days
4. 7 days

Correct answer: 4. 7 days

Explanation: Once the pneumoencephalum has developed nitrous oxide should not be used for 1 week.